Dystocia dystrophia syndrome:
1. Android pelvis
2. Platypelloid pelvis
3. Anthropoid
4. Gynaecoid pelvis

Correct answer: 1. Android pelvis